What is not seen in Reiters syndrome?
1. Subcutaneous nodules
2. Keratoderma blennorrhagicum
3. Circinate balanitis
4. Oral ulcers

Correct answer: 1. Subcutaneous nodules

Explanation: A. i.e. Subcutaneous nodules